Dr.Christian Bernard is associated with?
1. Heart transplant
2. Renal transplantation
3. Liver transplant
4. Hair transplant

Correct answer: 1. Heart transplant

Explanation: ANSWER: (A) Heart transplantREF: http://en.wikipedia. or g /wiki/Chris tiaan_BarnardChristiaan Neethling Barnard (November 8,1922 - September 2, 2001) was aSouth African cardiac surgeon who performed the world's first successful human-to-human heart transplant.